In an emergency room an alcoholic patient enters with hematemesis. On examination he has ascites with splenomegaly and gynecomastia. Etiology is
1. Portal hypertension secondary to viral hepatitis
2. Portal hypertension due to Alcoholic cirrhosis
3. Budd chiari syndrome
4. Primary sclerosing cholangitis

Correct answer: 2. Portal hypertension due to Alcoholic cirrhosis

Explanation: Ans. (b) Portal hypertension due to alcholic cirrhosisRef: Sabiston 20th edition Page 1437* Clinical features and findings suggest that the patient is a known case of Alcoholic cirrhosis with portal hypertension.* So most common cause in him is Varices bleeding